All are true lepromatous leprosy except-
1. Presence of globi
2. Subepidermal free zone
3. Decreased cell mediated immunity
4. Presence of granulomas subdermally

Correct answer: 4. Presence of granulomas subdermally

Explanation: D. i.e. Presence of granulomas subdermally